Corticosteroids are contraindicated in all of the following except:
1. Herpes zoster.
2. Varicella.
3. Pemphigus.
4. Herpes simplex.

Correct answer: 3. Pemphigus.